True about streptococcus are all except -
1. Group C causes NO human infection
2. Classification by lancefield based on carbohydrate antigen
3. Group B causes neonatal meningitis
4. Group B lives in female genital tract

Correct answer: 1. Group C causes NO human infection

Explanation: Ans. is 'a' i.e., Group C causes no human infection group c actually causes infection Human pathogen is strep. equisimilis, They produce f3 - hemolysis. Can cause upper respiratory tract infection, endocarditis, osteomyelitis, brain abscess, pneumonia and puerperal sepsis. Penicillin G is the drug of choice for treatment.